Who is regarded as father of public health?
1. Louis pasture
2. Cholera
3. John snow
4. Robert Koch

Correct answer: 2. Cholera

Explanation: Cholera REF: Park 20th ed p. 5 Cholera is regarded as father of public health John snow is regarded as father of modern epidemiology Louis pasture proposed "Germ theory of disease" Robert Koch showed that anthrax was caused by bacteria